Acute phase reactants are all except-
1. C-reactive protein
2. Haptaglobulin
3. Endothelin
4. Fibrinogen

Correct answer: 3. Endothelin

Explanation: Endothelin is a vasoconstrictive mediator released in response to endothelial dysfunction. Basic Pathology, Robbins. Page no.: 484